A 1 & 1/2 year child can do –
1. Build tower of 4 blocks
2. Scribble
3. Copies parents in task
4. All of these

Correct answer: 4. All of these